Aqueous humor has lower concentration of:
1. Lactate
2. Protein
3. Hyaluronic acid
4. L-ascorbic acid

Correct answer: 2. Protein

Explanation: Protein content of aqueous humor is much less than that of plasma. The ocular tissue surrounding the aqueous humor (especially the cornea and lens) take up glucose from aqueous humor; glycolysis by these tissues results in higher pyruvate and lactate (and lower glucose) in aqueous humor. L-ascorbic acid content of aqueous humor is 10-50 times higher as compared to plasma. (However, no ocular defects have been noted in prolonged scurvy.) The aqueous humor contains moderately high amounts of hyaluronic acid; it is kept in the depolymerized state by hyaluronidase present in the ciliary body